Alpha helix of primary polypeptide structure is stabilized by
1. Disulfide linkage
2. Hydrophobic interactions
3. Covalent bonding
4. Hydrogen bonds

Correct answer: 4. Hydrogen bonds

Explanation: The alpha helix is the most common and stable conformation for a polypeptide chain.In proteins like hemogloin and myoglobin, the alpha helix is abundant. The alpha helix is aspiral structure .The polypeptide bonds form the bacbone and the side chains of aminoacids extend outward.The structure is stabilized by hydrogen bonds between NH and C=O groups of the main chain. REFERENCE :DM VASUDEVAN TEXTBOOK EIGHTH EDITION; Page no:39